Miltefosine is used in treatment of:
1. Malaria
2. Typhus fever
3. Kala azar
4. Chicken pox

Correct answer: 3. Kala azar

Explanation: Miltefosine (hexadecylphosphocholine) is an oral drug that was originally studied as an antitumor agent. Subsequent to the serendipitous laboratory finding that miltefosine was active against Leishmania in vitro and, after oral administration in laboratory animals, the drug was developed in a public-private partnership for the treatment of visceral leishmaniasis or kala-azar. Ref: